Which is the longest muscle of the body:
1. Sartorius
2. Extraocular muscle
3. External oblique
4. Popliteal muscle

Correct answer: 1. Sartorius

Explanation: Ans. A SartoriusRef: BDC, 6th ed. vol. II pg. 53* Sartorius muscle is the longest muscle of the body.* It is also known as tailor's muscle (Sartor = tailor)